Ghon's focus reflects:
1. Miliary tuberculosis
2. Primary complex
3. Tuberculous lymphadenitis
4. Post primary tuberculosis

Correct answer: 2. Primary complex

Explanation: Ans. B: Primary complex Only a very small percent of Mycobacterium tuberculosis (MTB) infections result in disease, and even a smaller percentage of MTB infections progress to an advanced stage. The bacilli is engulfed by alveolar macrophages multiply and give rise to a subpleural focus of tuberculous pneumonia, commonly located in the lower lobe or the lower part of the upper lobe.This is known as Ghon focus. The Ghon focus together with the enlarged hilar lymph node constitutes the primary complex. Small metastatic foci containing low numbers of MTB may also calcify. However, in many cases these foci will contain viable organisms. These foci are referred to Simon foci. The Simon foci are also visible upon chest X-ray and are often the site of disease reactivation.